Male with patchy loss of scalp hair, eyebrows & beard with grey hair
1. Alopecia areata
2. Anagen effluvium
3. Telogen effluvium
4. Androgenic alopecia

Correct answer: 1. Alopecia areata

Explanation: Patchy loss, exclamation mark hair, autoimmune - Alopecia areata Alopecia areata is the commonest cause of patchy alopecia. Loss of Hair following a stress, infection etc - Telogen effluvium Loss of hair after Chemotherapy - Anagen effluvium Frontotemporal Recession - Androgenetic alopecia